A patient has ecchymosis and petechiae all over the body with no hepato-splenomegaly. All are true except
1. Increased megakaryocytes in bone narrow
2. Bleeding into the joints
3. Decreased platelet in blood
4. Disease resolves itself in 80% of Patients in 2-6

Correct answer: 2. Bleeding into the joints

Explanation: Ans. is 'b' i.e., Bleeding into the joints Features of Acute and Chronic Idiopathic Thrombocytopenic Purpura Feature Acute ITP Chronic ITP Peak age of incidence Children 2-6 year Adults, 20-40 year Sex predilection None 3:1 female to male Antecedent infection Common 1-2 week Unusual Onset of bleeding Before Abrupt Insidious Hemorrhagic bullae in mouth Present in severe cases Usually absent Platelet count < 20000/4 3000-80000/8L Eosinophilia and yphocytosis Common Rare Spontaneous remission Occurs in 80% cases Months or years Uncommon